A lady presented with secondary amenorrhea 6 months after having an abortion. Her FSH levels were measured as 6 mlU/ml what is the most probable diagnosis:
1. Pituitary failure
2. Ovarian failure
3. Fresh pregnancy
4. Uterine synechiae

Correct answer: 4. Uterine synechiae

Explanation: Since the lady in the question is having secondary amenorrhea following an abortion, uterine synechiae is the most likely cause. Low normal FSH level is consistent with uterine abnormality. (Normal serum FSH value in adult is woman is 5-20 mlU). Ref: Novak's, 14th Edition, Chapter 27; Speroff, 7th Edition, Chapter 11; Shaw's, 14th Edition, Pages 263, 264; The Subfertility Handbook : A Clinician's Guide By Gab Kovacs, 2nd Edition, Page 117